All are causes of Granular Contracted kidneys, except:
1. Benign nephrosclerosis
2. Diabetes mellitus
3. Chronic PyeloNephritis
4. Chronic GlomeruloNephritis

Correct answer: 2. Diabetes mellitus

Explanation: Diabetes mellitus